The minimally acceptable restoration for an endodontically treated maxillary first premolar is:
1. An onlay
2. An MOD amalgam
3. A full cast crown
4. An occlusal amalgam

Correct answer: 1. An onlay